The following are related to anencephaly except :
1. It is commonly associated with prematurity
2. Often associated with oligohydramnios
3. Increased association with female baby
4. Obstructed labour may occur

Correct answer: 2. Often associated with oligohydramnios

Explanation: Anenchepaly results from deficient development of the vault of the skull and brain tissue,but the facial portion is normal. The pituitary gland is often absent or hypoplastic. About 70% of anenchepaly fetuses are females. More prevalent in elderly mothers and first birth. Diagnosis: In the first half of pregnancy, daignosis is made by elevated levels of alpha-fetoproteins in amniotic fluid. It is CONFIRMED by USG. The findings around 10wks are: Absense of cranial vault Angiomatous brain tissue. In the latter half of pregnancy, diagnosis is difficult especially when associated with hydraminos. Complications: Hydraminos- associated with 70% Malpresentations Premature labour especially when associated with hydraminos Tendency of postmaturity Shoulder Dystocia Obstructed labour if the head and shouder try to engage together because of short neck. Iniencephaly: Failure of formation of cervical and upper thoracic vertebrae and base of the skull with abnormally formed brain tissue. TEXT BOOK OF OBSTETRICS, Dc duuta's ,9th edition, Page no.383